Stomach is supplied by-
1. Coeliac trunk
2. Splenic artery
3. Gastroduodenal artery
4. All of the above

Correct answer: 4. All of the above

Explanation: Ans. D. All of the aboveArtery supply of stomach-a. Left gastric arteryThe left gastric artery is the smallest branch of the coeliac axis. It ascends to the left of the midline and crosses either just over the lower end of or below the level of the origin of the left crus of the diaphragm beneath the peritoneum of the upper posterior wall of the lesser sac. It runs forwards into the superior portion of the lesser omentum adjacent to the superior end of the lesser curvature, and turns antero interiorly to run along the lesser curvature between the two peritoneal leaves of the lesser omentum. In its course along the lesser curvature, it gives off multiple branches that run onto the anterior and posterior surfaces of the stomach and anastomose with the right gastric artery in the region of the incisura angularis.b. Short gastric arteriesThey arise from the splenic artery or its divisions, or from the proximal left gastroepiploic artery, and pass between layers of the gastrosplenic ligament to supply the cardiac orifice and gastric fundus.c. Left gastroepiploic arteryThe left gastroepiploic artery is the largest branch of the splenic artery. It arises near the splenic hilum and runs antero interiorly between the layers of the gastrosplenic ligament into the upper gastrocolic omentum. It lies between the layers of peritoneum close to the greater curvature, running interiorly to anastomose with the right gastroepiploic artery. It gives off gastric branches to the fundus of the stomach through the gastrosplenic ligament, and to the body of the stomach through the gastrocolic omentum.d. Right gastric arteryThe right gastric artery arises from the hepatic artery as it passes forwards from the posterior wall of the lesser sac into the lower border of the lesser omentum above the first part of the duodenum. It runs between the peritoneal layers of the lesser omentum just above the medial end of the lesser curvature, passes superiorly along the lesser curvature, giving off multiple branches onto the anterior and posterior surfaces of the stomach, and anastomoses with the left gastric artery.e. Gastroduodenal arteryThe gastroduodenal artery arises from the common hepatic artery posterior and superior to the first part of the duodenum. It gives origin to the right gastroepiploic and superior pancreaticoduodenal arteries at the lower border of the first part of the duodenum.f. Right gastroepiploic arteryThe right gastroepiploic artery originates from the gastroduodenal artery behind the first part of the duodenum, anterior to the head of the pancreas. It passes interiorly towards the midline between the layers of the gastrocolic omentum, lies inferior to the pylorus, then runs laterally along the greater curvature and ends by anastomosing with the left gastroepiploic artery. The right gastroepiploic artery gives off gastric branches that ascend onto the anterior and posterior surfaces of the antrum and lower body of the stomach, epiploic branches that descend into the greater omentum, and branches that contribute to the supply of the inferior aspect of the first part of the duodenum.